The major clinical use of nimodipine is in:
1. Hypertension
2. Angina pectoris
3. Subarachnoid haemorrhage
4. Raynaud's phenomenon

Correct answer: 3. Subarachnoid haemorrhage